Which of the following is not seen tubercular meinigitis -
1. Evidence of old pulmonary lesions or a miliary pattern is found on chest rediography.
2. Culture of CSF is diagnostic in majority if cases and remains the gold standard.
3. It is most often in young children but also develops in adults.
4. Cerebrospinal fluid reveals a low leukocyte count.

Correct answer: 4. Cerebrospinal fluid reveals a low leukocyte count.

Explanation: Answer- D. Cerebrospinal fluid reveals a low leukocyte count.CSF shows increased leukocytes (especially lymphocytes) in TB meningitis.Tubercular meningitis is seen most often in young children but also develops in adults, especially those infected with HIVTubercular meningitis results from the hematogenous spread of primary or post primary pulmonary TB.Culture of CSF is diagnostic inup to 80% ofcases and remainsthe gold standard